Causes of acute pancreatitis are A/E?
1. Hypocalcemia
2. Valproic acid therapy
3. Biliary tract disease
4. Blunt trauma

Correct answer: 1. Hypocalcemia

Explanation: Causes of Acute Pancreatitis: Alcohol Gallstones & Biliary tract disease Hypertriglyceridemia, Hypercalcemia Drugs (azathioprine, 6-mercaptopurine, valproic acid, anti-HIV medications) ERCP, Postoperative, Blunt abdominal trauma Cystic fibrosis, Pancreas divisum, Periampullary diverticulum Infections (mumps, coxsackie virus, CMV, echovirus, parasites) Autoimmune